A patient presents 12 hours following a Myocardial infarction. Test of choice :
1. Lactate dehydrogenase
2. Cardiac troponins
3. Creatinine phosphokinase
4. Myoglobin

Correct answer: 2. Cardiac troponins

Explanation: Answer is B (Cardiac troponins) `Cardiac troponins are now the preferred biochemical markers for MI'- Cardiac troponins Cardiac specific troponin T and cardiac specific troponin I are now the preferred biochemical markers for MI. Many hospitals are now using cTnT or cTnl rather than CkmB as routine serum cardiac marker for diagnosis of AMI. They are not normally detectable in blood of a healthy individual but may increase after myocardial infarction to levels over 20 times higher They are particularly valuable where there is clinical suspicion of either skeletal muscle injury or a small myocardial infarction that may be below the detection limit of CK and CKMB. Creatinine phosphokinase: `CK-MB' was until recently considered the test of choice in diagnosis of acute MI in first 24 hours. The CK-MB isoenzyme may be elevated following cardiac surgery, myocarditis, and electrical cardioversion and therefore many hospitals are now using. Cardial troponins rather than CK MB as the routine serum cardiac marker for diagnosis of MI. Mvoglobin It is one of the first markers to increase after Ml. It is however non specific returns to normal within 24 hours.